Population explosion is define as population growth rate of more than- _____ per year
1. 2
2. 1.75
3. 1.8
4. 1.5

Correct answer: 1. 2